Minimal Ascites can be best detected by:
1. USG
2. Plain X-ray abdomen
3. MRI
4. CT scan

Correct answer: 1. USG

Explanation: A i.e. USG Earliest detection Investigation Ascites USGQ Pericardial effusion EchocardiographyQ Bronchiectasis CT-ScanQ Fetal life DopplerQ Pleural effusion IA lateral decubitus viewQ Pneumoperitonum Erect chest X-ray or left lateral decubitus abdominal X-rayQ